Maternal mortality refers to maternal deaths from causes related to or aggravated by pregnancy and its management during -
1. Pregnancy, child birth or first seven days after delivery
2. Child birth or first fourteen days after delivery
3. First 28 days after delivery
4. Pregnancy, child birth or first 42 days after delivery

Correct answer: 4. Pregnancy, child birth or first 42 days after delivery

Explanation: Maternal mortality rate is total no.of female deatha due to complications of pregnancy, childbirth or within 42 days of delivery from puerperal causes.REF.PARK'S TEXTBOOK OF PREVENTIVE AND SOCIAL MEDICINE.Editon-21.Page no.-514